Increase in number of RBC is seen in
1. Neutropenia
2. Leukemia
3. Polycythemia
4. Anaemia

Correct answer: 3. Polycythemia